During gluconeogenesis, oxaloacetate is transported from mitochondria to cytoplasm by:
1. Malate
2. Pyruvate
3. Glutamate
4. Phosphoenol Pyruvate

Correct answer: 1. Malate

Explanation: During gluconeogenesis: Pyruvate to oxaloacetate conversion occurs in mitochondria But next step i.e. oxaloacetate to Phospho-enol Pyruvate(PEP) formation occurs in cytoplasm. So there is a need for the transport of oxaloacetate from mitochondria to cytoplasm but oxaloacetate cannot cross inner mitochondrial membrane, so malate is formed. malate can then give rise to OAA which can enter Gluconeogenesis in cytoplasm (See fig). Note: This is different from Malate shuttle. Malate shuttle transfers NADH from cytoplasm to mitochondria Malate.